Technique of Cataract extraction  used in care of subluxated lens
1. Extracapsular Cataract extraction
2. Intracapsular Cataract extraction
3. Placoemusification
4. Small incision Cataract surgery

Correct answer: 2. Intracapsular Cataract extraction

Explanation: Though intracapsular Cataract extraction is obsolete, it is only indicated in subluxation of Lens.